Treatment of multiple carboxylase deficiency –
1. Biotin
2. Pyridoxine
3. Thiamine
4. Folic acid

Correct answer: 1. Biotin

Explanation: Pathogenesis of multiple carboxylase deficiency 

Deficiency of either holocarboxylase synthase or biotinidase impaires biotin metabolism.
Biotin is a cofactor for various carboxylases in the body -
Impaired metabolism of biotin results in multiple carboxylase deficiency.
So, for the treatment of multiple carboxylase deficiency, biotin should be given.